True statement regarding glycemic control in ICU patient:
1. Monitoring of blood insulin levels far better than sugar levels in SICU patient
2. Maintenance of normoglycemia in medical ICU is of no use
3. Target glucose range of 140-180 mg/dL (7.8 - 10.0 mmol/L) is recommended
4. Stringent goals, such as 110-140 mg/dL required for all patients

Correct answer: 3. Target glucose range of 140-180 mg/dL (7.8 - 10.0 mmol/L) is recommended

Explanation: Multiorgan dysfunction syndrome > 2 organ failure Pancreas | | Insulin |glucose | Cerebral edema So, Pt should maintain as Normoglycemic .